Chandler’s Index is used for:
1. Filariasis
2. Ascariasis
3. Guinea worm
4. Ancylostoma

Correct answer: 4. Ancylostoma

Explanation: Chandler Index
It is the average number of hookworm eggs per gram of faeces for the entire community.